Which of the following is an antipsychotic drug -
1. Flupenthixol
2. Rasagiline
3. Clobazam
4. Divalproex

Correct answer: 1. Flupenthixol

Explanation: Ans. is 'a' i.e., Flupenthixol Antipsvchotics (Neuroleptics)o Antipsychotics are a group of psychoactive drugs commonly used to treat psychosis, e.g. Schizophrenia.o Antipsychotic drugs are divided into:Typical antipsychotics (first generation antipsychotics)1. .Phenothiazines - Chlorpromazine, Thioridazine, Trifluperazine, Fluphenazine.Thioxanthenes - Thiothixene, Flupenthixol.Butyrophenones - Haloperidol, Trifluperidol, Penfluridol.Other heterocyclics - Pimozide, Loxapine, SulpirideAtypical antipsychotics (second generation antipsychotics)1. Clozopine3. Olanzopine5. Aripiprazole2. Risperidon4. Quetiapine6. Ziprasidone